All of the following are seen in MEN 2b except ?
1. Hyperparathyroidism
2. Neuromas
3. Medullary carcinoma thyroid
4. Pheochromocytoma

Correct answer: 1. Hyperparathyroidism

Explanation: MEN 2B syndrome includes medullary carcinoma thyroid, pheochromocytoma along with phenotypic changes including marfanoid habitus, skeletal abnormalities, abnormal dental enamel, multiple mucosal neuromas. MEN 2A includes Primary hyperparathyroidism, Medullary carcinoma of thyroid and Pheochromocytoma. Pituitary tumours are a part of MEN 1 (Wermer's )syndrome along with Primary hyperparathyroidism and Pancreatic neuro-endocrine tumours (insulinomas, gastrinomas). Reference : page 795 Davidson's Principles and practice of Medicine 22nd edition and page 829 Textbook of pathology Harshmohan 6th edition .